Cocket & Dodd's operation is for
1. Saphenofemoral flush ligation
2. Subfascial ligation
3. Deep vein thrombosis
4. Diabetic foot

Correct answer: 2. Subfascial ligation